Primordial prevention is done in a population
1. With risk factors
2. Without risk factors
3. With low prevalence of disease
4. With disease

Correct answer: 2. Without risk factors

Explanation: Primordial prevention aims at preventing the emergence of risk factors. This is the primary prevention in its purest sense, that is, prevention of emergence or development of risk factors in countries or population groups in which they have not yet appeared. Ref: Park's Textbook of Preventive and Social Medicine; 24th edition - Page no. 45